Amaurotic cat's eye reflex is a presenting feature of ?
1. Retinoblastoma
2. Congenital cataract
3. Endophthalmitis
4. Coat's disease

Correct answer: 1. Retinoblastoma

Explanation: Ans. is 'a' i.e., Retinoblastoma Leukocoria or amauratic cat's eye reflexthis is the most common manifestation of retinoblastoma. The leukocoria or the white glow in the pupil is caused by reflection of light from the white intraocular tumor Note- Leukocoria is seen in all the given options. But, term `amauratic cat evert reflex is usually used for retinoblastoma. Retinoblastoma is the most important cause of leukocoria (white pupillary reflex). Other causes of leukocoria are :- Conditions causing leukocoria (Pseudoglioma) Hereditary conditions :- Norrie's disease, congenital retinoschisis, Incontinetia pigmenti, dominant exudative vitreoretinopathy. Developmental :- Persistent hyperplastic primary vitreous (PHPV), congenital cataract, cloboma, retinal dysplasia, congenital retinal fold, myelinated nerve fibres, morning glory syndrome, congenital corneal opacity. Inflammatory :- Ocular toxocariasis, congenital toxoplasmosis, congenital CMV retinitis, HSV retinitis, Peripheral uveoretinitis, endophthalmitis, orbital cellulitis. Tumors :- Retinal astrocytic hamartoma, Medulloepithelioma, Glioneuroma, Choroidal hemangioma, Leukemia. Miscellaneous :- Coat's disease, Retinopathy of prematurity (Retrolental fibroplasia), Rheugmatogenous RD, Vitreous hemorrhage, perforating ocular injury.